Tip of greater cornua of hypoid is a landmark for which artery
1. Facial
2. Lingual
3. Superior thyroid artery
4. Ascending Pharyngeal

Correct answer: 2. Lingual